Apheresis is -
1. Selective separation of components of blood
2. Preventing blood transfusion infections
3. Separation of platelets from plasma
4. Isolating organisms from mixed culture

Correct answer: 1. Selective separation of components of blood

Explanation: Answer- A. Selective separation of components of bloodApheresis is the general technique of extracorporeal blood purification whereby one constituent is removed and the remainder is returned to the patient.